A lady with 37 weeks pregnancy, presented with bleeding per vagina. Investigation shows severe degree of placenta previa. The treatment is
1. Immediate C. S.
2. Blood transfusion
3. Conservative
4. Medical induction of labour

Correct answer: 1. Immediate C. S.

Explanation: Ans. is a i.e. Immediate C.S. As Explained in the previous question-- Patient presenting with bleeding, at 37 weeks of gestation with central placenta previa, management should be immediate emergency cesarean section. Also Know Indications for cesarean section in case of placenta previa ? Major degrees of placenta previa (type 3 and 4). Type 2 posterior placenta.deg Lesser degrees of placenta previa where amniotomy fails to stop bleeding or fetal distressdeg appears. In cases where fetal head is not engageddeg due to presence of placenta previa. Severe bleeding irrespective of the type of placenta.deg Obstetrical contraindication to vaginal delivery.deg Remember : * Placenta previa is a condition where cesarean section is not contraindicated even in case of dead fetus, if it is being undertaken in maternal interest.